Most common presentation of wilm's tumor ?
1. Hematuria
2. Asymptomatic abdominal mass
3. Abdominal pain
4. Headache

Correct answer: 2. Asymptomatic abdominal mass

Explanation: Ans. is `b' i.e., Asymptomatic abdominal mass Wilm's tumor (Nephroblastoma) Most common malignant tumor of kidney. 80% of tumor present below 5 year of age. Presention :? Asymptomatic abdominal mass (M.C.). Haematuria (10-25%). Hypertension (25%). Abdominal pain (30%). Fever (20%).